Superior malleolar ligament connects ?
1. Malleus to incus
2. Head of malleus to roof of epitympanum
3. Incus to fossa incudis
4. Malleus to fossa incudis

Correct answer: 2. Head of malleus to roof of epitympanum

Explanation: - Superior Malleolar fold, like the superior malleolar ligament, extends between superior surface of malleus head and superior attic wall (epitympanion)(2 Superior incudal fold, like superior incudal ligament, extends between the superior aspect of incus body & superior attic wall. Medial incudal fold, is between long process of incus & tendon of stapedial muscle (as far as pyramidal eminence) Lateral malleolar fold is b/w neck of malleolus & scutum forming superior border of prussalc's space. - Prussak's space lies between shrapnell's membrane & lateral malleolor ligament. - Anterior & posterior malleolar ligament arise from neck of malleolus from anterior & posterior aspect respectively. The anterior malleolar ligament extends from long process of malleolus towards the anterior attic wall Discomalleolar ligament & anterior malleolar ligament damage during temporomandibular joint surgery may cause damage of middle ear. This may be a risk factor in the dissemination of infection from one area to the other. Interossicular fold lies b/w malleolus handle and long process of incus.